APGAR score includes all except
1. Tendon reflexes
2. Colour
3. Muscle tone
4. Respiratory effort

Correct answer: 1. Tendon reflexes

Explanation: Sign
0 points
1 point
2 points


Heart rate
Absent
< 100 bpm
> 100 bpm


Respiratory effort
Absent 
Slow, irregular
Good, crying


Muscle tone
Flaccid 
Some extremity flexion
active motion


Reflex irritability
No response
Grimace
Vigorous cry


Color 
Blue, pale
Body pink, extremities blue
Completely pink